Post coital pill contains -
1. 25 mg Mifepristone
2. Misoprostol
3. 0-75 mg levenorgesterol
4. lOmgEthinylestradiol

Correct answer: 3. 0-75 mg levenorgesterol

Explanation: Ans. is 'c' i.e., 0.75 mg levenorgestrol Post - coital contraceptivesDrugDosePregnancy rate (%)Levenorgestrol0[?]75 mg stat and after 12 hours0- 1Ethinyl estradiol 50 micro gm + Norgestrel 0[?]25 mg2 tablets stat and 2 after 12 hours0-2Ethinyl estradiol2[?]5 mgBD x 5 days0-0-6Mifepristone100 mg single dose0-0 6Copper IUDs (Gold Standard)Insertion within 5 days0-0 1Ulipristal acetate30 mgPO0-1